Antitubercular drug which is least hepatotoxic:
1. Rifampicin
2. Pyrazinamide
3. Ethambutol
4. INH

Correct answer: 3. Ethambutol

Explanation: Ans. C: Ethambutol The single biggest problem with TB treatment is drug-induced hepatitis, which has a mortality rate of around 5%. Three drugs can induce hepatitis: PZA, INH and RMP (in decreasing order of frequency). It is not possible to distinguish between these three causes based purely on signs and symptoms.